Tensors of vocal cord are:
1. Posterior cricothyroid, internal interarytenoid
2. Lateral cricothyroid, internal interarytenoid
3. Thyroarytenoid, internal interarytenoid
4. Cricothyroid and internal thyroarytenoid

Correct answer: 4. Cricothyroid and internal thyroarytenoid

Explanation: Cricothyroid is the main tensor of vocal cords. Another tensor of VC is the internal or medial part of thyroarytenoid which is also known as Vocalis.